All of the following may occur in Noonan's syndrome except:
1. Hypertrophic cardiomyopathy
2. Cryptoorchidism
3. Infertility in females
4. Autosomal dominant transmission

Correct answer: 3. Infertility in females

Explanation: Answer is C (Infertility in females) : Females usually show normal sexual maturation but it is delayed 2 years on an average. Males frequently have cryptorchidism and small testes. They may be hypogonadal or normal. Puberty is delayed 2 yr on average Term 'Noonan Syndrome' has been applied to males and. females who have some phenotypic features that resamble females with turner's syndrome (45 X, 0), but themselves have apparently normal sex chromosomes (46XX or 45 XY). These boys and girls have normal Karyotopee Inheritance is autosomal dominants (gene on chromosome 12q) Clinical features Q: Short stature, webbed neck, pectus carinatum / excavatum Hypertelorism, epicanthus, dominant slanted palpebral fissures, ptosis, micrognathia and ear abnormalities. Clinodactyly, hernias, vertebral anomalies are less common Intellectual disability occurs in 25% of patients High frequency sensorineural hearing loss is common Cardiac Defects : Pulmonary stenosis, Hypertrophic Cardiomyopathy, ASD Hepatosplenomegaly and hematological diseases including Leukemia occur